Complement proteins constitute what percentage of serum proteins?
1. <1
2. 5-Jan
3. 5-10%
4. >10%

Correct answer: 3. 5-10%

Explanation: Ans is 'c' i.e. 5-10% "The complement system consists of a large number of proteins that together constitute about 10% of the total circulating serum protein"